The sputum specimen of a 70 year old male was cultured on a 5% blood agar. The culture showed the presence of a-haemolytic colonies next day. The further processing of this organism is most likely to yield :
1. Gram positive cocci in short chains, catalase negative and bile resistant
2. Gram positive cocci in pairs, catalase negative and bile soluble
3. Gram positive cocci in clusters, catalase posi- tive and coagulase positive
4. Gram negative coccobacilli, catalase positive and oxidase positive

Correct answer: 2. Gram positive cocci in pairs, catalase negative and bile soluble